Corticosteroids cause all EXCEPT:
1. Muscular hypertrophy
2. Peptic ulceration
3. Psychosis
4. Suppression of pituitary-adrenal axis

Correct answer: 1. Muscular hypertrophy